Midyear population calculated on?
1. 1st june
2. 30th june
3. 1st july
4. 31st june

Correct answer: 3. 1st july

Explanation: ANSWER: (C) 1st JulyREF: Park 18th ed p.639Mid year population is estimated population on 1st of julyCensus estimation is done at end of first quarter in the first year after a decade (end of march)